Which of the following enzyme deficiency is the most common cause of pseudohermaphroditism in a female child?
1. 3 - hydroxylase deficiency
2. 11 - hydroxylase deficiency
3. 17 - hydroxylase deficiency
4. 21- hydroxylase deficiency

Correct answer: 4. 21- hydroxylase deficiency

Explanation: Most common cause of female pseudohermaphroditism is congenital adrenal hyperplasia mostly caused by deficiency of the enzyme 21 hydroxylase. Due to this enzyme deficiency, there is deficient production of adrenal cortisol and aldosterone and overproduction of adrenal androgens.